Crown completion of Mandibular Canine occur
1. At birth
2. 6-7 years
3. 11-12 years
4. 8-9 years

Correct answer: 2. 6-7 years